A 63 - year old man presented with massive and splenomegaly, lymphadenopathy and a total leucocyte count of 17000 per mm3. The flow cytometery showed CD 23 negative and CD 5 positive monoclonal B-cells with bright kappa positively comprising 80% of the peripheral blood lymphoid cells. The most likely diagnosis is -
1. Mantle cell lymphoma
2. Splenic lymphoma with vilious lymphocytes
3. Follicular lymphoma
4. Hairy cell leukemia

Correct answer: 1. Mantle cell lymphoma